Fimbriectomy is also known as?
1. Uchida's procedure
2. Kroener procedure
3. Irving's procedure
4. Pomeroy Procedure

Correct answer: 2. Kroener procedure

Explanation: Ans. B. Kroener procedureThe technique of fimbriectomy as described by Kroener employs the ligation of the distal ampulla of the tube with two permanent sutures and then division and removal of the infundibulum of the tube (Fig). Ligation and hemostasis are accomplished simultaneously. The simplicity with which this excisional procedure is performed on the distal portion of the tube accounted for its early popularity, especially when the sterilization was being performed through a colpotomy incision.Kroener fimbriectomy. Top. A suture is anchored in the mesosalpinx and placed around the tube in the distal ampulla. A second suture may be placed adjacent to the first, and the infundibulum of the tube is excised. Bottom. The tube as it appears following excision of the distal segment.